Which of the following drug need not be stopped before surgery ?
1. Aspirin
2. Warfarin
3. Metformin
4. Digitalis

Correct answer: 4. Digitalis

Explanation: Ans. is 'd' i.e., Digitalis